Mutton fat keratic precipitate and Busacca nodules are seen in –
1. Granulomatous uveitis
2. Non–granulomatous uveitis
3. Posterior uveitis
4. Choroiditis

Correct answer: 1. Granulomatous uveitis

Explanation: Mutton fat keratic precipitate and Busacca's nodule are seen in granulomatous uveitis.